A female multipurpose worker should be able to detect all of the following except -
1. Anemia
2. Renal disease
3. Hvdrarnnios
4. Mal presentation

Correct answer: 2. Renal disease

Explanation: Ans. is 'b' i.e., Renal disease FHW estimates hemoglobin to detect anemia Refers cases of abnormal pregnancy (I-Iydroamnion, Malpresentation) and cases with medical and gynaecological problems to PHC.